During cardiac cycle opening of the aortic valve takes place at
1. Beginning of systole
2. End of isovolumetric contraction
3. End of diastole
4. End of diastasis

Correct answer: 2. End of isovolumetric contraction

Explanation: At the end of the Isovolumetric contraction, aortic and pulmonary valves open so that the ventricles can eject blood into the aorta and pulmonary trunk Ref: Ganong 25th ed/page 540